Amniocentesis is done at
1. 12 - 14 weeks
2. 14 - 16 weeks
3. 8 - 10 weeks
4. 18 - 20 weeks

Correct answer: 2. 14 - 16 weeks

Explanation: Amniocentesis normally done at 14 - 16 weeks.
Early Amniocentesis 12 - 14 week.